The headquarters of UNESCO is in -
1. Geneva
2. Paris
3. New delhi
4. Newyork

Correct answer: 2. Paris

Explanation: Ans. is 'b' i.e., Paris WHO- Geneva. UNICEF- New york, FAO- Rome